Specific plaque hypothesis was put forward by:
1. Jenco
2. Listgarten
3. Loesche
4. None of the above

Correct answer: 3. Loesche